Eligible couple means
1. A couple having 2 living children
2. A couple having given birth to 2 children, irrespective of their survival status
3. A couple with wife aged 15-45 yrs
4. A couple who is ready for sterilization

Correct answer: 3. A couple with wife aged 15-45 yrs

Explanation: The eligible couple are currently married couple wherein the wife is in the reproductive age (i.e. 5 -49 yr. of age) Don't confuse with target couple: Eligible couples who have 2 - 3 living children Ref : Park 23rd edition Pgno : 492-493